Mobility of teeth in carcinoma of Maxillary sinus is due to involvement by tumor of
1. Anterior wall of the sinus
2. Posterior wall of the sinus
3. Roof of the sinus
4. Floor of the sinus

Correct answer: 4. Floor of the sinus